A woman has bilateral headache that worsens with emotional stress : she has two children, both doing badly in school diagnosis is -
1. Migraine
2. Cluster headache
3. Tension headache
4. Trigeminal neuralgia

Correct answer: 3. Tension headache